Most common nerve involved in the fracture of surgical neck of humerus is:
1. Median
2. Radial
3. Ulnar
4. Axillary

Correct answer: 4. Axillary

Explanation: In fracture surgical neck of humerus the axillary nerve (circumflex nerve) is most frequently damaged. Ref: Essential Orthopedics By J Maheswari, 2nd Edition, Page 775